Blood flow through a vessel varies directly with
1. Resistance
2. Viscosity
3. Difference of pressure
4. Length of vessel

Correct answer: 3. Difference of pressure

Explanation: Blood flow is directly proportional to
-        Pressure gradient
-        Radius
Blood flow is inversely proportional to
-        Viscosity
-        Length
-        Resistance